Cholinesterase is seen in venom of:
1. Elapids
2. Vipers
3. Sea snakes
4. All

Correct answer: 1. Elapids

Explanation: Ans. Elapids